Which of the following adverse effect can occur even after the offending drug has been withdrawn a long time back?
1. Paradoxical tachycardia
2. Tardive dyskinesia
3. Malignant hyperthermia
4. Gynaecomastia

Correct answer: 2. Tardive dyskinesia

Explanation: Tardive dyskinesia Very late appearing extrapyramidal symptom. Can occur even after the stoppage of antipsychotic drug. -Anticholinergic drugs are contra-indicated in Tardive dyskinesia.